A neonate born to infected hepatitis- B mother, should be treated with -
1. Isolation
2. Immunoglobulins
3. Hepatitis-B-Vaccine
4. Immunoglobulins & hepatitis-B-vaccine

Correct answer: 4. Immunoglobulins & hepatitis-B-vaccine

Explanation: Ans. is 'd' i.e., Immunoglobulins & Hepatitis B Vaccine "Infants born to Hbs Ag positive mothers should receive both HBIG and HB vaccine intramuscularly at seperate sites within 12 hours of birth, followed by 2nd and 3rd dose of vaccine at 1 and 6 months respectively."